A 56-year-old man has suffered from intermittent claudication for 5 years. He has recently developed cramping abdominal pain that is made worse by eating. He has a history of a 15-lb weight loss. What is the most likely diagnosis?
1. Chronic intestinal ischemia (intestinal angina)
2. Chronic cholecystitis
3. Esophageal diverticulum
4. Peptic ulcer

Correct answer: 1. Chronic intestinal ischemia (intestinal angina)

Explanation: Patients with underlying ischemic disease may develop acute intestinal infarction or intestinal angina, which is aggravated by eating.